Pyramidal fracture of maxilla is
1. Le Fort - 1
2. Le Fort -2
3. Le Fort-3
4. Craniofacial disruption

Correct answer: 2. Le Fort -2

Explanation: Pyramidal or Le Fort 2 fracture of maxilla passes through the root of nose, lacrimal bone, the floor of the orbit, the upper part of the maxillary sinus and pterygoid plates. Ref: Textbook of diseases of ENT, PL Dhingra, 7th edition, pg no. 207